Saccharolytic species of clostridia ?
1. C. tetani
2. Cl. cochlearum
3. Cl. septicum
4. None

Correct answer: 3. Cl. septicum

Explanation: Ans. is 'c' i.e., Cl. septicum